The average leeway space available in each half of mandible is
1. 3.8 mm
2. 1.7 mm
3. 2.4 mm
4. 0.9 mm

Correct answer: 2. 1.7 mm